Which one of the following is the first symptom of sympathetic opthalmia?
1. Pain
2. Colored haloes
3. Photophobia
4. Color blindness

Correct answer: 3. Photophobia

Explanation: An early sign of sympathetic ophthalmia is a limited range of accommodation with photophobia. Sympathetic ophthalmia (SO) is a granulomatous uveitis of both eyes following trauma to one eye. The disease may progress to severe iridocyclitis with pain and photophobia. Commonly the eye remains relatively painless while the inflammatory disease spreads through the uvea, where characteristic focal infiltrates in the choroid named Dalen-Fuchs nodules are seen.